All are true about chaperones except
1. Cause folding of proteins
2. Are lipid in nature
3. May have ATPase activity
4. Include heat shock proteins

Correct answer: 2. Are lipid in nature

Explanation: chaperones are proteins that assist the covalent folding or unfolding and the assembly or disassembly of other macromolecular structures. Chaperones are present when the macromolecules perform their normal biological functions and have correctly completed the processes of folding and/or assembly. The chaperones are concerned primarily with protein folding. The first protein to be called a chaperone assists the assembly of nucleosomes from folded histones and DNA and such assembly chaperones, especially in the nucleus, are concerned with the assembly of folded subunits into oligomeric structures Ref-Sathyanarayana 4/e p387